Most common mutation in hereditary spherocytosis
1. Spectrin
2. Ankyrin
3. Glycophorin A
4. Band 3

Correct answer: 2. Ankyrin

Explanation: Ans. (b) Ankyrin(Ref: Robbins 9th/pg 632; 8th/pg 642)Most common mutation:Hereditary spherocytosis is Ankyrin>Band-3>spectrinHereditary elliptocytosis is Spectrin